Which one of the following diseases is an autosomal dominant disorder -
1. Hemochromatosis
2. Phenylketonuria
3. Maturity onset diabetes of the young
4. Glucose-6 phosphate dehydrogenase deficiency

Correct answer: 3. Maturity onset diabetes of the young